The gas that is used to measure diffusing capacity of lung is:
1. Carbon monoxide
2. Carbon dioxide
3. Nitrogen
4. helium

Correct answer: 1. Carbon monoxide

Explanation: Carbon monoxide (CO) is used to measure diffusing capacity of the lung. CO is a 'diffusion-limited' gas. CO has high solubility in blood. However, when CO is given by inhalation, it does not remain in aqueous phase. Reason: CO has very high affinity for Hb; it enters red cells and combines with Hb. Due to this, CO content of blood will be high but partial pressure of CO (pCO) will not rise. (Partial pressure is exerted by the gas in solution and not by the gas that combines with Hb). Partial pressure of CO in capillary blood remains close to zero. Diffusing capacity for CO (DLCO) at rest = 25 ml/min/mm Hg.